Silent mutations occurs because codon is :
1. Non overlapping
2. Commaless
3. Universal
4. Degenerate

Correct answer: 4. Degenerate

Explanation: Degenerate Silent mutations occurs because codon is degenerate. Degeneracy/Redundancy is a property of codons that each amino acid is having more than one codons. Silent mutations means a codon is replaced by another codon, which is coding for same amino acid.